Incidence rate is measured by-
1. Case control study
2. Cohort study
3. Cross sectional study
4. Cross over study

Correct answer: 2. Cohort study

Explanation: Cohort study is also known as incidence study Features of cohort study: Cohort identified prior to the disease under investigation Study group so defined are observed over a period of time to determine the frequency of disease among them Study proceeds forward from cause to effect (pg no : 75 park 23 rd edition)